With IV infusion, a drug reaches 90% of its final steady state in 10 hours. The elimination half-life of the drug must be approximately
1. 1 h
2. 2 h
3. 3 h
4. 6 h

Correct answer: 3. 3 h

Explanation: Time to reach 90% of final steady-state plasma levels is given by: 3.3xhalflife.Because it takes 10 h to reach 90% steady state, thenHalflife=3.310 =3hTo achieve "clinical" steady state usually takes approximately 5xhalflife.